The depth of cure for lighter shades of composites is often:
1. 2 mm
2. 3 mm
3. 4 mm
4. 5 mm

Correct answer: 4. 5 mm

Explanation: The boundary between somewhat cured and uncured material is called the depth of cure and is often 5 mm for light vita shades (A2 or A3) of material.